Adduction of hand at wrist is done by -
1. Flexor carpi radialis
2. Flexor carpi logus
3. Flexor digitorum profundus
4. Flexor carpi ulnaris

Correct answer: 4. Flexor carpi ulnaris

Explanation: Adductors of wrist joint
-        Flexor carpi ulnaris
-        Extensor carpi ulnaris